Normal body temperatures is 98deg F. Standard deviation is 1. For 95% of persons lower limit of body temperature ?
1. 97deg F
2. 96deg F
3. 95deg F
4. 94deg F

Correct answer: 2. 96deg F

Explanation: Ans. is 'b' i.e., 96deg F